All of the following drugs are used for managing status epilepticus except -
1. Phenytoin
2. Diazepam
3. Thiopentone sodium
4. Carbamazepine

Correct answer: 4. Carbamazepine